For calculation of incidence denominator is taken as-
1. Mid year population
2. Population at risk
3. Total number of cases
4. Total number of deaths

Correct answer: 2. Population at risk

Explanation: Denominator for calculating incidence is population at risk.